A man is brought to casualty who met with RTA. He sustained multiple rib fractures with paradoxical movement of chest. Management is:
1. Tracheostomy
2. Consult cardiothoracic surgeon
3. Strapping
4. Intermittent positive pressure ventilation

Correct answer: 4. Intermittent positive pressure ventilation